Nerve supply of tensor facia lata is:
1. Superior gluteal nerve
2. Inferior gluteal nerve
3. Femoral nerve
4. Sciatic nerve

Correct answer: 1. Superior gluteal nerve

Explanation: Ans: A (Superior gluteal nerve) Ref: Grays Anatomy 40th EdExplanation:Tensor fascia lataIt is the deep fascia of thighSuperiorly it is attached to the inguinal ligament and iliac crestInteriorly it is attached over the knee anteriorh and laterallyPosteriorly it form popliteal facsiaIts main insertion with illio tibial tractActions are medial rotation and flexion of thighNerve supply: Superior gluteal nerve (L5, S1)